Investigation to diagnose stage-I carcinoma breast:
1. B/ L mammogram
2. X-ray chest
3. Bone scan
4. Liver scan

Correct answer: 1. B/ L mammogram

Explanation: A i.e. B/L mammogram